Radiological features in rickets?
1. Cupping of distal end of radius
2. Widening of distal end of metaphvsis
3. Thickening of growth plate
4. All of above

Correct answer: 4. All of above

Explanation: Rachitic changes are most easily visualized on posteroanterior radiographs of the wrist, although characteristic rachitic changes can be seen at other growth plates, 
Decreased calcification leads to thickening of the growth plate. 
The edge of the metaphysis loses its sharp border, which is described as fraying, the edge of the metaphysis changes from a convex or flat surface to a more concave surface. This is termed cupping and is most easily seen at the distal ends of the radius, ulna, and fibula.
There is a widening of the distal end of the metaphysis, corresponding to the clinical observation of thickened wrists and ankles, as well as the rachitic rosary.
Other radiologic features include coarse trabeculation of the diaphysis and generalized rarefaction